Amphotericin B causes deficiency of ?
1. Sodium
2. Calcium
3. Potassium
4. Chloride

Correct answer: 3. Potassium